Klinefelter syndrome is?
1. 47XXXY
2. 47XXY
3. 47 XX
4. 47 XY

Correct answer: 2. 47XXY

Explanation: Ans. (b) 47XXYRef: Robbiris pathology 9th ed. 1165